The lowest recurrence rate in duodenal ulcer treatment is seen with -
1. Highly selective vagotomy
2. Truncal vagotomy
3. Truncal vagotomy and antrectomy
4. Truncal vagotomy and pyloroplasty

Correct answer: 3. Truncal vagotomy and antrectomy

Explanation: Least rate of recurrence is seen with truncal vagotomy and antrectomy. In addition to a truncal vagotomy, the antrum of the stomach is removed, thus removing the source of gastrin. (Gastrin is secreted from the antrum). The recurrence rate after this procedure is exceedingly low. However, the operative mortality is higher than vagotomy and drainage and highly selective vagotomy. Ref : Love & Bailey 25/e p1059